All are features of Fournier's gangrene except -
1. Testicles are involved
2. Obliterative arteritis seen
3. Haemolytic streptococci, E.coli, Staphylococci, Cl. welchi can be isolated
4. Necrotising fascitis

Correct answer: 1. Testicles are involved